Which nerve is injured in fracture of fibula:
1. Posterior tibial nerve
2. Anterior tibial nerve
3. Common peroneal nerve
4. Deep peroneal nerve

Correct answer: 3. Common peroneal nerve

Explanation: Ans. (c) Common peroneal nerveRef: Maheshwari 5th ed. /158* Smaller terminal branch of sciatic nerve, the common peroneal nerve arises in the lower third of thigh. It runs downward through the popliteal fossa (lateral side) closely following the medial border of biceps femoris muscle. It leaves the fossa by crossing superficially the lateral head of the gastrocnemius muscle. It then passes behind the head of the fibula, winds laterally around the neck of the bone, pierces the peroneus longus muscle, and divides into two terminal branches superficial and deep peroneal nerve.* The common peroneal nerve is extremely vulnerable to injury by direct trauma and fractures of fibula as it winds around the neck of fibula.* Injury to common peroneal nerve causes foot drop.